Shelf life of drug is-
1. Same as expiration dating period
2. Different from expiration dating period
3. Time in wrhich drug is completely degraded if stored
4. Time in which the drug becomes harmful for consumption

Correct answer: 1. Same as expiration dating period

Explanation: Ans. is 'a' i.e., Same as expiration dating period Shelf life of drugo It is same as expiration dating time.o It is defined as the time at which the average drug characteristic remains within an approved specification after manufacture (FDA, 1987).o In other words, it is the time period over which the potency, efficacy, safety and esthetics of the product can be assured.o After the shelf life is over drug looses its therapeutic effect.